Not included in PQLI is
1. Income
2. Literacy
3. Life expectancy at age 1
4. Infant mortality

Correct answer: 1. Income

Explanation: Ans. (a) IncomeRef. K. Park 23rded. /17Components/lndicators of PQLI* Literacy rate* Infant mortality rate* Life expectancy at age 1 year